A 6-year-old girl presents with precocious puberty, some bony lesions & hyperpigmented skin lesions as shown below. What is the most probable diagnosis?
1. Prader Willi syndrome
2. Laurence Moon syndrome
3. Cushing syndrome
4. McCune-Albright syndrome

Correct answer: 4. McCune-Albright syndrome

Explanation: The history & image given in question suggests the diagnosis of MC CUNE ALBRIGHT SYNDROME: MC CUNE ALBRIGHT SYNDROME: - Characterized by Triad of Precocious puberty Cafe au lait spots Polyostotic fibrous dysplasia - Occurs due to somatic activating mutation of stimulatory G- protein - Associated endocrine abnormalities are * Hyperthyroidism Rickets GH excess Precocious puberty